Effective polymerase reaction was repeated for 3 cycles on a DNA molecule. What will be the resulting formation of the copies?
1. Double number of copies
2. Three times the number of DNA molecule
3. Four times the number of DNA molecule
4. Eight times

Correct answer: 4. Eight times

Explanation: Polymerase Chain Reaction The number of copies of the particle after 'n' cycles of Polymerase Chain Reaction is given by the formula 2n times the original copies. So, the number of copies after 3 cycles would be 23 =8 times the original copies. PCR is used to amplify DNA but - RTPCR (reverse transcriptase PCR) can be used for studying mRNA.